Ischemia of which of the vessels would cause least damage:
1. Renal artery
2. SMA
3. IMA
4. Celiac trunk

Correct answer: 3. IMA

Explanation: Ans is 'c' i.e. IMA "Occlusion of the inferior mesenteric artery does not always result in irreversible ischaemia of the descending and sigmoid colon, because the marginal artery of the colon usually receives an adequate supply from the left branch of the middle colic artery. Moreover, the sigmoid arteries may be supplied by the superior rectal artery, which anastomoses with the middle and inferior rectal arteries. When ischaemia does occur, it is usually maximal in the proximal descending colon because this region is furthest from the collateral arterial supplies."- Gray's Anatomy The colon is supplied by SMA and IMA which have extensive collateral circulation in the form of marginal artery and arc of Riolan The Marginal Artery of Drummond connects SMA and IMA, and forms a continuous arcade along the mesenteric border of the colon. The Arc of Riolan, also known as the Meandering Mesenteric artery, is another vascular arcade present in the colonic mesentery that connect the proximal Middle Colic artery (branch of SMA) with the proximal Left colic artery (branch of IMA). These collateral circulation in the form of Marginal artery and Arc of Riolan are able to sustain the part of left colon in case of occlusion of the IMA. Moreever a distal collateral circulation also exists between the superior rectal artery (a branch of IMA) and the middle and inferior rectal artery (branches of the internal iliac artery). Celiac trunk and SMA do not have such rich collateral circulation and supply much more important parts than colon. Renal artery is an end artery, does not have any collaterals, so any injury or complete occlusion would lead to loss of the kidney.